What percentage of Lente Insulin is amorphous?
1. 70%
2. 30%
3. 50%
4. 90%

Correct answer: 2. 30%

Explanation: Insulin Lente is 70% crystalline (ultra lente) and 30% amorphous (semi lente). It is an insulin - zinc suspension